Which does't cause hemolysis in G 6 PD deficiency-
1. Oestrogen
2. Salicylates
3. Primaquine
4. Nitrofurantoin

Correct answer: 1. Oestrogen